The ratio between incidence among exposed and nonexposed persons is called-
1. Attributable risk
2. Positive predictive value
3. Relative risk
4. Odds ratio

Correct answer: 3. Relative risk

Explanation: .relative risk also called as risk ratio ,is the ratio of the incidence of the disease or death among exposed and incidence among non exposed.it is a direst measure of strength of association between suspected cause and effect.RR of one indicates no association,it must also be noted that risk does not necessarily imply causal association ref:park's textbook,ed22,pg no 75